When a disease spreads from one country to another in a short time it is called:
1. Endemic
2. Pandemic
3. Epidemic
4. Sporadic

Correct answer: 2. Pandemic